Drug of choice for Trigeminal neuralgia is:
1. Carbamazepine
2. Phenobabitone
3. Phenytoin
4. Valproic acid

Correct answer: 1. Carbamazepine

Explanation: Trigeminal and related neuralgias: Carbamazepine is the drug of choice. These neuralgia;. characterized by attacks of high intensity electric shock-like or stabbing pain set off by evening. REF: KD TRIPATHI 8TH ED.